Radiation exposure during infancy has been linked to which one of the following carcinoma?
1. Lung
2. Breast
3. Thyroid
4. Melanoma

Correct answer: 3. Thyroid

Explanation: The cancer which frequently follows accidental irradiation of the thyroid in children under 5 years of age are differentiated thyroid carcinoma, particularly papillary carcinoma. Ref: Bailey and Love's Short Practice of Surgery, 24th Edition, Pages 797, 802.